All of the following drugs are used as immunosuppressants in organ transplantation, EXCEPT:
1. Glucocorticoids
2. Cyclosporine
3. Cephalosporin
4. Azathioprine

Correct answer: 3. Cephalosporin

Explanation: Cephalosporins are similar to penicillins, but more stable to many bacterial Beta-lactamases and therefore have a broader spectrum of activity. Immunosuppressive drugs are used to dampen the immune response in organ transplantation and autoimmune disease. In transplantation, the major classes of immunosuppressive drugs used today are: Glucocorticoids Calcineurin inhibitors Anti-proliferative/antimetabolic agents Biologicals (antibodies) Azathioprine was first introduced as an immunosuppressive agent in 1961, helping to make allogeneic kidney transplantation possible. It is indicated as an adjunct for prevention of organ transplant rejection and in severe rheumatoid arthritis. The calcineurin inhibitor cyclosporine is a potent immunomodulator used most frequently after organ transplantation. It is effective in specific clinical settings in IBD, but the high frequency of significant adverse effects limits its use as a first-line medication. Ref: Krensky A.M., Bennett W.M., Vincenti F. (2011). Chapter 35. Immunosuppressants, Tolerogens, and Immunostimulants. In L.L. Brunton, B.A. Chabner, B.C. Knollmann (Eds), Goodman & Gilman's The Pharmacological Basis of Therapeutics, 12e.